Sigmund Freud divided "Id, Ego and Superego" as 3 components of mind according to
1. Topographical theory of mind
2. Structural theory of mind
3. Psychoanalytical theory of mind
4. Primary process of thinking

Correct answer: 2. Structural theory of mind

Explanation: Structural theory of mind: Includes Ig, Ego and Superego
Topographical theory of mind: Includes Unconscious, Preconscious and Conscious as 3 parts of mind.